Thumb print sign is seen in
1. Ileal atresia
2. Meconium ileus
3. Crohn's disease
4. Ischemic colitis

Correct answer: 4. Ischemic colitis

Explanation: Thumb printing: Indentation in contrast or air-filled bowel lumen caused by sub mucosal infiltration and resembling a thumb printing; e.g. Ischemia Thumbprinting is a Radiographic sign of large bowelwall thickening, usually caused by edema, related to an infective or inflammatory process ('colitis'). The normal haustra become thickened at regular intervals appearing like 'thumb-prints' projecting into the aerated lumen.